A patient has a functional shift towards right due to
cross bite, the indicated treatment is
1. Maxillary expansion bilaterally
2. Expansion of maxilla on the side of functional shift
3. Expansion of maxilla opposite to the side of functional shift
4. None of the above

Correct answer: 1. Maxillary expansion bilaterally